Water soluble vitamin is -
1. Thiamine
2. Retinoic acid
3. Cholecalciferol
4. Tocopherol

Correct answer: 1. Thiamine

Explanation: Ans. is 'a' i.e., Thiamine* Fat soluble vitamins include Vitamin A (Retinol, retinal, retinoic acid), Vitamin D (antirachitic vitamin or cholecalciferol, ergocalciferol), Vitamin E (Tocopherol) and Vitamin K (naphthoquinone)# Fat soluble vitamins are stored in adipose tissue and in liver# Hence deficiency manifestations of fat soluble vitamins are relatively rare# There is a risk of toxicity of fat soluble vitamins when the intake is increased* Water soluble vitamins include Vitamin B1 (thiamine), Vitamin B2 (Riboflavin), Vitamin B3 (Niacin), Vitamin B5 (Pantothenic acid), Vitamin B6(Pyridoxal), Vitamin B7 (Biotin), Vitamin B9(Folate), Vitamin B12 (cyanocobalamine), and Vitamin C (ascorbic acid)# Water soluble vitamins are not stored and they get lost in urine - the only exception is vitamin B12 which is stored in liver# Hence deficiency manifestations are relatively common# They don't present with toxicity as they are not stored.